Local anaesthetics acts by inhibiting:
1. Sodium channels
2. Potassium channels
3. Calcium channels
4. Magnesium channels

Correct answer: 1. Sodium channels

Explanation: Ans: A i.e. Sodium channels Local anaesthetics act by inhibiting sodium channels from inside Local anesthetics Generally blocks: Sodium channels Potency of LA depends on: Lipid solubility Susceptibility of fibres to LA: Type B > type C > type A Amide linked LA: - Lidocaine, - Bupivacaine etc. Ester linked LA: - Cocaine,